Best view for superior orbital fissure
1. Water's view
2. Basal view
3. Caldwell view
4. Lateral view

Correct answer: 3. Caldwell view